NOT a component of Virchow triad:
1. Endothelial injury
2. Stasis
3. Hypercoagulable states
4. Immunodeficiency

Correct answer: 4. Immunodeficiency

Explanation: Ans. D i.e. ImmunodeficiencyThree primary abnormalities that lead to thrombus formation (called Virchow's triad) include 1) endothelial injury, 2) stasis or turbulent blood flow, and 3) hypercoagulability of the blood